Clinical finding inAV fistula is one of the following
1. Pericarditis
2. Sinus tachycardia
3. Cardiac arryhthrnia
4. Hypothermia

Correct answer: 2. Sinus tachycardia